When instead of interdental bone, the adjacent tooth is used as fulcrum, the technique is known as :
1. Stobie's extraction.
2. Balancing extraction.
3. Both
4. Wilkinson extraction

Correct answer: 1. Stobie's extraction.

Explanation: Stobie’s Extraction
Instead of interdental Bone, Adjacent tooth is used as Fulcrum.
2 teeth → luxated - Simultaneously